The egg of which helminth can be concentrated in saturated solution -
1. Taenia saginata
2. Taenia solium
3. Unfertilized egg of Ascaris
4. Ancylostoma duodenale

Correct answer: 4. Ancylostoma duodenale

Explanation: Helminth eggs floating in saturated salt solution: Hell FATE Hell-Helminth,H.nana F-Fertilised eggs of Ascaris A-Ancylostoma duodenale T-Trichuris trichiura E-Enterobius vermicularis